Retention appliance should be
1. Retentive only
2. Passive only
3. Passive + retentive
4. Active + retentive

Correct answer: 3. Passive + retentive